Sec. 377 IPC deals with:
1. Rape
2. Adultery
3. Sadism
4. Sodomy

Correct answer: 4. Sodomy

Explanation: Ans. Sodomy